Cerebellar hemangioblastoma and retinal tumors are seen in:
1. Von Hippel Lindau syndrome
2. Neurofibromatosis type 1
3. Tuberous sclerosis
4. Neurofibromatosis type 2

Correct answer: 1. Von Hippel Lindau syndrome

Explanation: Ref: Chapter 28. CNS. page - 1343: Robbins and Cot ran Pathologic Basis of Disease: 8th editionExplanation:The Von Hippel Lindau gene (VHL) is tumor suppressor gene located on Chromosome 3p25-p26 and down-regulates expression of vascular endothelial growth factor; hence its dysregulation is associated with hemangioblastomas and retinal tumors.The neurofibromatosis type 1 (Chr. 17) is associated with:Optic nerve gliomasLisch nodules (pigmented nodules of the iris)Cafe au lait spots (cutaneous hyperpig- mented macules)Neurofibromatosis type 2 (Chr. 22) is associated with:8th nerve schwannomasMultiple meningiomasGliomasEpendymoma of spinal cordTuberous sclerosis complex: It is associated with:Cortical tubersSubependymal nodulesSubependymal giant cell astrocytomasRenal angiomyolipomasRetinal glial hamartomasPulmonary lymphangioleiomyomatosisCardiac rhabdomyomasShagreen patches (cutaneous leathery thickenings)Ash-leaf patches (hypopigmented areas)Subungual fibromas